An aneurysm of the abdominal aorta found at the aortic hiatus of the diaphragm. Which of the following pairs of structures would most likely be compressed?
1. Vagus nerve and azygos vein
2. Esophagus and vagus nerve
3. Azygos vein and thoracic duct
4. Thoracic duct and vagus nerve

Correct answer: 3. Azygos vein and thoracic duct

Explanation: CHOICE EXPLANATION & ELIMINATION REASON 1 Vagus pass through oesophageal opening 2 Not correct 3 Correct option 4 Not correct Structure passing through aortic hiatus Aorta Azygous vein Thoracic duct